All are DNA viruses EXCEPT:
1. Varicella zoster virus
2. Dengue virus
3. HBV
4. ParOvirus B19

Correct answer: 2. Dengue virus

Explanation: Ans. B i.e. Dengue virus Examples of togavirus group (RNA virus) include yellow fever, sindbis & dengue viruses